1st spinal nerve is related to
1. Glossopharyngeal
2. Vagus
3. Hypoglossal
4. Facial

Correct answer: 3. Hypoglossal

Explanation: The anterior primary ramus of C1 joins with hypoglossal nerve, which distributes the motor fibres to the geniohyoid and thyroid muscles. C1 is the first spinal nerve which is unique in that it contains only motor fibres. (Ref: Vishram Singh textbook of clinical neuroanatomy, second edition pg 107)